Combination use of Beta blockers and Calcium channel blockers can cause all but except
1. Heart block
2. Hypertension
3. Hypotension
4. Bradycardia

Correct answer: 2. Hypertension

Explanation: Refer kDT 6/e p533 When beta blockers are given with verapamil and diltiazem they produce: Additive sinus depression,conductive deafness, asystole resulting in marked bradycardia and AV block Cardiac arrest may happen due to this combination Both decrease in BP so result in hypotension